Same aminoacid is coded by multiple codons d/t following :
1. Degeneracy
2. Frame-shift mutation
3. Transcription
4. Mutation

Correct answer: 1. Degeneracy

Explanation: A i.e. Degeneracy